In femoral hernia the base of sac lies -
1. Below and lateral to pubic tubercle
2. Below and medial to pubic tubercle
3. Above and lateral to pubic tubercle
4. Above and medial to pubic tubercle

Correct answer: 1. Below and lateral to pubic tubercle

Explanation: Ans. is 'a' i.e., Below and lateral pubic tubercle * The base of hernia sac appears below and lateral to the pubic tubercle and lies in the upper leg rather than in the lower abdomen.Femoral hernia* In this hernia the abdominal contents pass through the femoral ring, traverse the femoral canal and come out through the saphenous opening.* It is more common in females (But remember that most common hernia in the females is not femoral, but it is indirect inguinal)* Femoral hernia is rare in men and nulliparous women but more common in multiparous women due to stretching of the pelvic ligaments.* In contrast to inguinal hernia, femoral hernia is rare in infancy and childhood. It is rare before puberty.* It is more common on right side* It is bilateral in 20% of cases.* Among all the types of hernia, femoral hernia is most liable to become strangulated, mainly because of the narrowness of the neck of the sac and the rigidity of the femoral ring. Infact strangulation is the initial presentation of 40% of femoral hernias.